Most important amino acid which acts as methyl group donor -
1. Cysteine
2. Methionine
3. Tyrosine
4. Tryptophan

Correct answer: 2. Methionine

Explanation: Ans. is 'b' i.e., MethionineMethionine is activated into S-adenosylmethionine, which then transfers its methyl group to an acceptor. Thus methionine acts as methyl donor in transmethylation reactions.Some of the important transmethylation reactions are?Norepinephrine - EpinephrinePhosphatidylethanolamine - PhosphatidylcholineGunaidoacetate 4 CreatineEthanolamine - CholineAcetyl serotonin - SerotoninNucleotides methylated nucleotides